Allograft is a graft obtained from
1. Self
2. Identical twin
3. A genetically unrelated member of same species
4. A member of different species

Correct answer: 3. A genetically unrelated member of same species

Explanation: (C) A genetically unrelated member of same species TERMINOLOGY OF GRAFTSDonorNameSynonymsSelfAutograftAutogenous or Auto- genic graft.Different individual, genetically identical with recipient.Identical twin or member of same inbred strainIsograftIsologous or Syngeneic graft or SyngraftGenetically unrelated member of same speciesAllograftAllogeneic graft. Formerly called HomograftDifferent speciesXenograftXenogeneic. Formerly called Heterograft